Initial treatment of buphthalmos is -
1. Laser trabeculolasty
2. Goniotomy
3. Topical pilocarpine
4. Carbonic anhydrase inhibitors

Correct answer: 2. Goniotomy

Explanation: In Buphthalmos medications are not effective and so treatment is primarily surgical. Incisional angle surgery by goniotomy or trabeculectomy Ref:Comprehensive ophthalmology-AK Khurana 6th edition chapter-10 page no:227